Water soluble contrast made up of
1. Iodine
2. Barium
3. Calcium
4. Bromine

Correct answer: 1. Iodine

Explanation: There are two types of Water soluble contrast:- Ref:- Surgery Sixer 3rd Edition; Pg num:- 327